Which of the following indicators involve reproductive woman-a)  Birth Rateb)  G.F.Rc)  T.F.Rd)  Maternal mortality rate
1. a
2. c
3. bc
4. ad

Correct answer: 3. bc

Explanation: Measures including woman in reproductive age (15-44 or 49 years) :-

General fertility rate                                   
General marital fertility rate                     
Gross reproduction rate                              
Total fertility rate           
Total marital fertility rate  
Child - woman ratio        
Pregnancy rate   
Abortion rate                

All these measures except last two have been explained earlier.
Pregnancy rate

It is the ratio of number of pregnancies in a year to married women in the reproductive ages (15 - 44 or 49 years). The number of pregnancies includes all pregnancies, whether these had terminated as live births, still-births or abortion or had not yet terminated.

Abortion rate 

The annual number of all types of abortions, usually per 1000 women of child - bearing age (15-44 or 49 years).